Which of the following are orbital tumours a) Glioma    b) Lymphoma   c) Chloroma  d) Meningioma  e) Schwannoma
1. abcde
2. abd
3. abc
4. acd

Correct answer: 1. abcde

Explanation: Orbital tumors
Primary :- Optic nerve glioma, optic nerve sheat meningioma, cavernous hemangioma, schwannoma, lymphoma.
Secondary :- Squmous cell carcinoma, malignant melanoma.
Metastasis :

Adult :- Breast, lung, prostate, kidney, GIT, melanoma.
Children :- Neuroblastoma, Ewing's sarcoma, chloroma, wilm's tumor, histiocytosis, testicular embryonal sarcoma, ovarian sarcoma.